S100 is a marker used in the diagnosis of
1. Melanoma
2. Schwannoma
3. LCH
4. All of the above

Correct answer: 4. All of the above

Explanation: S100 proteins are normally present in cells derived from the neural crest (Schwann cells, and melanocytes), chondrocytes, adipocytes, myoepithelial cells, macrophages, Langerhans cells, dendritic cells, and keratinocytes.S100 protein family are useful as markers for certain tumors and epidermal differentiation. It can be found in melanomas, schwannomas, neurofibromas, 50% of malignant peripheral nerve sheath tumors, paraganglioma stromal cells, histiocytoma and clear cell sarcomas.